Maximum absorption of HCO3 occurs in:
1. PCT
2. DCT
3. CT
4. ALH

Correct answer: 1. PCT

Explanation: Ans A. PCTAbout 70% of filtered HCO3 occur at PCT. 70% of filtered water. NaCl absorption occur at PCT. 100% of filtered glucose and amino acid occur at PCT